The Non-REM (NREM) sleep is commonly associated with:
1. Frequent dreaming
2. Frequent penile erections
3. Increased blood pressure
4. Night terrors

Correct answer: 4. Night terrors

Explanation: D i.e. Night terrorsNocturnal penile tumuescence occurs in REM SleepQ, it is a normal phenomenon, occurring 100 min / night Nocturnal penile tumescence & Early morning erection are used to distinguish between organic & psychogenic impotence as these are preserved in psychogenic impotenceQ.